Torsade-de- pointes is caused by-
1. Hypermagnesemia
2. Metabolic acidosis
3. Hypomagnesemia
4. Metabolic alkalosis

Correct answer: 3. Hypomagnesemia

Explanation: Torsades-de-pointes is a form of VT seen as a complication of prolonged ventricular repolarisation. It is seeen in hypomagnesemia. It is not seen in hypermagnesemia,metabolic acidosis,metabolic alkalosis Ref Harrison 20th ed pg 1436